Which among the following is the commonest cause for breech presentation?
1. Prematurity
2. Contracted pelvis
3. Oligohydromnios
4. Hydrocephalus

Correct answer: 1. Prematurity

Explanation: Prematurity is the commonest cause of breech presentation. The chance for breech presentation gradually decrease towards term. Breech presentation is the commonest malpresentation. In this, lie is longitudinal and podalic pole is present at the pelvic brim. Reference: Textbook of Obstetrics by D.C Dutta, 6e page 374-5.